Uveoparotid fever is seen in:
1. SLE
2. Sjogren's syndrome
3. Rheumatoid Arthritis
4. Sarcoidosis

Correct answer: 4. Sarcoidosis

Explanation: Answer is D (Sarcoidosis): Uveoparotid fever / Uveoparotitis / Heerfordt syndrome: Fever Parotid enlargement (also lacrimal gland enlargement, bilateral hilar adenopathy) Uveitis (Anterior uveitis) Facial Nerve Palsy (Cranial neuropathies)